Anaerobic bacteria can be cultured in
1. L-J medium
2. Robertson cooked meat medium
3. Loeffler's medium
4. Sabouraud's agar

Correct answer: 2. Robertson cooked meat medium